Aedes agypti can fly -
1. 100 m
2. 200 m
3. 1000 m
4. 3-5 km

Correct answer: 1. 100 m

Explanation: The flight range of different mosquitoes: Anopheles - 3 to 5 km Culex - 11 km Aedes - 100 m REFERENCE: PARK'S TEXTBOOK OF PREVENTIVE AND SOCIAL MEDICINE, 25TH EDITION, PG NO. 831